Apt presents with engorged neck veins, BP 80/50 and pulse rate of 100 following blunt trauma to the chest : Diagnosis is -
1. Pneumothorax
2. Right ventricular failure
3. Cardiac tamponade
4. Hemothorax

Correct answer: 3. Cardiac tamponade